Rootless teeth refer to
1. Dentin dysplasia
2. Amelogenesis imperfecta
3. Dentinogenesis imperfecta
4. Regional odontodysplasia

Correct answer: 1. Dentin dysplasia